Anemia with reticulocytosis is seen in ?
1. Hemolysis
2. Iron deficiency anemia
3. Vitamin B12 deficiency
4. Aplastic anemia

Correct answer: 1. Hemolysis

Explanation: Ans. is 'a' i.e., Hemolysis